Mechanism of cyanide poisoning is by inhibiting -
1. DNA synthesis
2. Cytochrome oxidase
3. Protein breakdown
4. Protein synthesis

Correct answer: 2. Cytochrome oxidase

Explanation: Ans. is 'b' i.e., Cytochrome oxidase o Cyanide inhibits cytochrome oxidase for oxygen utilisation in cells,o Death is due to cytotoxic/ histotoxic anoxia,o It is associated with a characteristic smell of bitter almonds.